Which of the following is not involved in MEN II syndrome ?
1. Pituitary tumor
2. Medullary carcinoma of thyroid
3. Pheochromocytoma
4. Parathyroid adenoma

Correct answer: 1. Pituitary tumor

Explanation: Ans. is 'a' i.e., Pitutary tumor